True about molluscum contagiosum is all except
1. Dome shape umbilicated papules.
2. Contagious until the lesions resolve.
3. Most lesions regress spontaneously by 6 → 12 months.
4. With Giemsa staining, molluscum bodies are seen intranuclearly.

Correct answer: 4. With Giemsa staining, molluscum bodies are seen intranuclearly.

Explanation: Molluscum bodies are intracytoplasmic inclusion bodies.